Noradrenergic neurons are chiefly present in:
1. Locus ceruleus
2. Nucleus accumbens
3. Nucleus raphe magnus
4. Nigrostriatal pathway

Correct answer: 1. Locus ceruleus

Explanation: Cells in the locus ceruleus have noradrenergic neurons that are projected to all parts of the cerebral cortex and limbic system. It is involved in the regulation of attention, arousal, sleep-wake cycles, mood and affect. Raphe nucleicontain serotonergic neurons. These neurons fire most rapidly during wakefulness Nucleus accumbens and nigro-striatal pathway contain dopaminergic neurons.